Breteau index is used for
1. Aedes
2. Anopheles
3. Hook  - worm infection
4. Hard tick

Correct answer: 1. Aedes